Movement of chromosomes during cell division is by:
1. Microtubules
2. Mitochondria
3. Both
4. None

Correct answer: 1. Microtubules

Explanation: Microtubules play an important role in movement of chromosomes during cell division They also help in axonal transport and movement of cilia ,sperma,fallopian tube Ref:Guyton and Hall textbook of medical physiology 12th edition,page number:8,9,14